Apart from Escherichia coli, the other most common organism implicated in acute suppurative bacterial peritonitis is:
1. Bacteroides
2. Klebsiella
3. Peptostreptococcus
4. Pseudomonas

Correct answer: 1. Bacteroides

Explanation: Secondary bacterial peritonitis- Aka acute suppurative bacterial peritonitis- Caused by visceral perforation- Poly microbial infection* E. coli (aerobe)* Bacteroides fragilis (anaerobe) Treatment- Exploratory laparotomy + peritoneal lavage + repair of perforation / stoma formation